The inner Waldeyer's group of lymph nodes does not include:
1. Submandibular lymph node
2. Tonsils
3. Lingual tonsils
4. Adenoids

Correct answer: 1. Submandibular lymph node

Explanation: Submandibular nodes do not form part of Waldeyer's lymphatic ring. They form part of the outer group of lymph nodes into which efferents from the constituents of the Waldeyer's lymphatic ring may drain.